Partial dissolution of smear layers takes place in:
1. 1st generation
2. 2nd generation
3. 3rd generation
4. None

Correct answer: 3. 3rd generation

Explanation: In 1st and 2nd generation, smear layer is preserved.